A 33 year old person is found wandering in Delhi. The identity card in his pocket shows that he is from Bihar, and on calling, it got confirmed that the person is missing from his home for last 2 says. He is well-groomed and denies remembering how he reached at the new place. Most likely diagnosis is:
1. Dementia
2. Dissociative amnesia
3. Dissociative fugue
4. Schizophrenia

Correct answer: 3. Dissociative fugue

Explanation: DISSOCIATIVE FUGUE Dissociative fugue was deleted as a major diagnostic category in DSM-5 and is now diagnosed on a subtype (specifier) of dissociative amnesia. It can be seen in patients with both dissociative amnesia and dissociative identity disorder. Dissociative fugue is described as sudden, unexpected travel away from home or one's customary place of daily activities, with inability to recall some or all of one's past. This is accompanied by confusion about personal identity or even the assumption of a new identity. The disturbance is not due to the direct physiological effects of a substance or a general medical condition. The symptoms must cause clinically significant distress or impairment in social, occupational, or other important areas of functioning.